Rennin is present in
1. Gastric juice
2. Liver
3. Kidney
4. Lung

Correct answer: 1. Gastric juice

Explanation: Rennin is present in the Gastric juice whereas Renin is related to kidney. Ref: Ganong's review of medical physiology; 24th edition